Which of the following is insulin dependent for it's action?
1. GULT-1
2. GULT-2
3. GULT-3
4. GULT-4

Correct answer: 4. GULT-4

Explanation: Ans. d (GULT - 4). (Ref. Harper, Biochemistry, 25th ed., 615)GULT 4 is located in adipose tissue, heart and skeletal muscles, where it is functionally associated with hexokinase II. It carries out insulin stimulated glucose uptake.GLUCOSE TRANSPORTERS GULTFunctionLocation1GULT 1Basal glucose uptakeUbiquitous2GULT 2B cell glucose sensorLiver, small intestine, kidney, islet B cells3GULT 3Basal glucose uptakeUbiquitous4GULT 4Insulin dependant glucose uptakeAdipose tissue, heart, skeletal muscles5GULT 5Fructose transportJejunum, sperm6GULT 6NonePseudogene7GULT 7G-6-P transporter in Endoplasmic reticulumLiver